Charcot laden crystals are found in -
1. Bronchial asthma
2. Bronchiectasis
3. Chronic bronchitis
4. Wegners granulomatosis

Correct answer: 1. Bronchial asthma

Explanation: Ans. is 'a' i.e., Bronchial asthma o Characteristic histological findings and sputum findings in asthma are1) Curschmann's spirals: Whorls of shed epithelium in mucus plug.2) Charcot-leyden crystals: Collection of crystalloids made up of eosinophilic protein.3) Creola bodies: Ciliated columnar cells sloughed from bronchial mucosa.